primary structure of amino acid is mainly detected by ?
1. mass spectroscopy
2. xray crystallography
3. nmr spectrometry
4. all the above

Correct answer: 1. mass spectroscopy

Explanation: primary structure - detected by = mass spectroscopy (edmans techinique) secondary structure /tertiary structure = xray crystallography /nmr spectrometry ref : vasudevan 9th ed